What is the single most effective step in resuscitation of babies who fail to breathe at birth?
1. Suction of airways
2. Tactile stimulation
3. Positive pressure ventilation
4. Chest compressions

Correct answer: 3. Positive pressure ventilation

Explanation: Positive pressure ventilation is the single most effective step in the resuscitation of neonates who fail to breathe at birth. Device used for PPV- 'Ambu bag'